non synthetic phase 1 reaction for drug detoxification is
1. Glucuronidination
2. Acetylation
3. Methylation
4. Oxidation

Correct answer: 4. Oxidation

Explanation: Ref-KDT 6/e p24-25